Erythema nodosum leprosum or Type 2 reaction in Hansen's disease is an example of which hypersensitivity reaction?
1. Type I
2. Type II
3. Type III
4. Type IV

Correct answer: 3. Type III

Explanation: Type II lepra reactions (ENL) is seen in Lepromatous Leprosy. Erythema nodosum leprosum is a type III hypersensitivity.